Orphan annie eye nuclei appearance is characteristic of-
1. Papillary carcinoma thyroid
2. Carcinoma pituitary
3. Paraganglioma
4. Meningioma

Correct answer: 1. Papillary carcinoma thyroid

Explanation: Orphan Annie eye nuclei is a feature of papillary carcinoma of thyroid. The nuclei of cells in papillary carcinoma thyroid has finely dispersed chromatin . Thus it is optically clear and shows ground glass or Orphan Annie eye nuclei. Ref: Robbins and cotrans 9e Pg 1095